Treatment of tetanus is
1. Clindamycin
2. Doxycycline
3. Metronidazole
4. Penicillin

Correct answer: 3. Metronidazole

Explanation: If possible, the entry wound should be identified, cleaned, and debrided of necrotic material in order to remove anaerobic foci of infection and prevent further toxin production. Metronidazole (400 mg rectally or 500 mg IV every 6 h for 7 days) is the preferred antibiotic. An alternative is penicillin (100,000-200,000 IU/kg per day), although this drug theoretically may exacerbate spasms. (Harrison's Principles of internal medicine,20th edition, page 1199)